Nigro protocol is for which carcinoma
1. Anal
2. Colon
3. Hepatocellular
4. Pancreatic

Correct answer: 1. Anal

Explanation: Nigro protocol or Nigro Regime for Anal Carcinoma (Norman Nigro, et al 1974):  * Initial radiotherapy for 3 weeks 3000 rads (30 Gy total) to perineum and pelvis  * Then chemotherapy--5 FU, for 4-5 days; is a radiosensitizer, started on 1st day of as 1000 mg/m2 continuous infusion. Mitomycin C is 15 mg/m2 as single dose on 1st day of  * Later after 3 weeks abdominoperineal resection (APR) with colostomy in case of persistent or recurrent disease. Reference : page 987 SRB's manual of surgery 5th edition